Which of the following is common risk factor for coronary heart disease except ?
1. Family H/O of IHD
2. Decreased homoscystinaemia
3. HDL <40 mg/dL
4. Type 1 DM

Correct answer: 2. Decreased homoscystinaemia